Temporomandibular joint is a:
1. Diarthroidal and ginglymoidal joint
2. Ball and socket joint
3. Hinge joint
4. Fibrous joint

Correct answer: 1. Diarthroidal and ginglymoidal joint